TRUE about deep inguinal ring is:
1. A defect in fascia transversalis
2. Lies an inch above the mid-inguinal point
3. Present medial to inferior epigastric artery
4. Commonest site of direct hernia

Correct answer: 1. A defect in fascia transversalis

Explanation: Deep inguinal ring is present 1/2 inch (1.25cm) above the mid-inguinal point. The ring is present lateral (not medial) to Inferior epigastric artery (and vein). Indirect (not direct) inguinal hernia comes through the deep inguinal ring. The ring is created by the transversalis fascia, which invaginates to form a covering of the contents of the inguinal canal.